A young lady presented with white lacy lesions in oral cavity and her proximal nail fold has extended onto the nail bed. What is the likely diagnosis –
1. Psoriasis
2. Geographic tongue
3. Lichen planus
4. Candidiasis

Correct answer: 3. Lichen planus

Explanation: Presence of white lacy lesions in the oral cavity and proximal nail fold prolonged on to nail bed (pterygium) suggest the diagnosis of lichen planus.